A person has poor performance in front of his seniors in public place, has tachycardia when he has to deliver a lecture, avoids going to parties. The diagnosis is
1. Panic disorder
2. Schizophrenia
3. Social Phobia
4. Avoidant Personality

Correct answer: 3. Social Phobia

Explanation: C i.e. Social phobia A social phobic is socially normal, has friends & is cheerful until he is faced with a situation where he has to perform in presence of other; whereas in avoidant P.D. the person persistently feels tension & apprehension. Social phobia is a localized part of avoidant personality & the differences are: Social Phobia Irrational fear of performing activities in presence of other people or interacting with otherQ Avoidant Personality Disorder Persistent feeling of tension & apprehension - Excessive preoccupation with being criticized or rejected in social situation - Inferiority Complex (belief that one is socially inept personally unappealing or inferior to others) - Unwilling to be involved with people; Restriction in life style; Avoidance of social activities.